Cytological smear showing multinucleated giant cells, synctium and ballooning degeneration of the nucleus is a characteristic of
1. Herpes simplex virus infection
2. Erythema multiforme
3. Recurrent apthous stomatitis
4. Coxsackie virus infection

Correct answer: 1. Herpes simplex virus infection